Computed tomography (CT) is useful in the formulation of a treatment plan of blow-out fractures because:
1. It is the only way to diagnose an orbital fracture.
2. Coexistent sinus disease can be evaluated.
3. Magnetic resonance imaging is superior to CT in the evaluation of orbital fractures.
4. CT can fairly accurately determine the size of the fracture and its relationship to the orbital soft tissues.

Correct answer: 4. CT can fairly accurately determine the size of the fracture and its relationship to the orbital soft tissues.

Explanation: CT can fairly accurately determine the size of the fracture and its relationship to the orbital soft tissues. Computed tomography (CT) scanning has become an integral factor in the diagnosis and treatment of blow out fractures. CT provides excellent detail of the bones and the relationship with the extraocular muscles and orbital tissues. Coronal views can help distinguish whether the muscle itself is entrapped, which can be difficult to evaluate on clinical examination.